The electrical potential difference necessary for a single ion to be at equilibrium across a membrane is best described by the
1. Goldman equation
2. Van't Hoff equation
3. Fick's law
4. Nernst equation

Correct answer: 4. Nernst equation